A 28 year old female P3, has Ilnd degree of uterovaginal prolapse. The management of choice is :
1. Fothergill's repair
2. Wertheim's hysterectomy
3. Perineal exercises x 3 month
4. Vaginal hysterectomy with vault repair

Correct answer: 1. Fothergill's repair

Explanation: Ans. is a i.e. Fothergill's repair The female in this question is 28 years old (i.e. < 40 years) with Parity = 3 (i.e. family completed) with 2deg UV prolapse is an ideal candidate for Fothergill's repair. Remember : Management of prolapse Young women Old women who cannot sustain major surgery Women <40 years with complete family, want to retain their menstrual Women > 40 years with want complete family do not to retain her function menstrual function Sling operation Le foe's operation Fothergill repair Vaginal hysterectomy with pelvic floor repair Perineal exercises Shirodkar's operation